All of the following are topically used sulfonamides EXCEPT :
1. Sulfacetamide
2. Sulfasalazine
3. Silver sulfadiazine
4. Mafenide

Correct answer: 2. Sulfasalazine